Drug of choice for the treatment of a pregnant women with P vivax malaria as?
1. Quinine
2. Chloroquine
3. Artemether
4. Paracetamol

Correct answer: 2. Chloroquine

Explanation: Ans. is 'b' i.e., Chloroquine